All the following are causes of acute pancreatitis except-
1. Gall stone
2. Alcohol
3. Hemochromatosis
4. Hypercalcemia

Correct answer: 3. Hemochromatosis

Explanation: Causes of Acute Pancreatitis
Common Causes
Gallstones (including microlithiasis) - most common
Hypertriglyceridemia
Endoscopic retrograde cholangiopancreatography (ERCP), especially after biliary manometry.
Trauma (especially blunt abdominal trauma)
Postoperative (abdominal and nonabdominal operation)
Drugs ( L-asparaginase, thiazide diuretics, furosemide, estrogens, azathioprine, 6-mercaptopurine, methyldopa.
sulfonamide, tetracycline, valproic acid, anti-HIV medications)
Sphincter of Oddi dysfunction
Uncommon causes
Vascular causes and vasculitis (ischemic-hypoperfusion states after cardiac surgery)
Connective tissue disorders and thrombotic thrombocytopenic purpura (TTP)
Cancer of the pancreas
Hypercalcemia
Periampullary diverticulum
Pancreas divisum
Hereditary pancreatitis
Cystic fibrosis
Renal failure
Rare causes
Infections (mumps, coxsackievirus, cytomegalovirus, echovirus, parasites).
Autoimmune (i.e., Sjogren's syndrome)
Causes to consider in patients with recurrent bouts of acute pancreatitis without an obvious etiology
Occult disease of the biliary tree or pancreatic ducts, especially microlithiasis, sludge
Drugs
Pancreatic cancer
Idiopathic
Hypertriglyceridemia
Sphincter of Oddi dysfunction
Pancreas divisum
Cystic fibrosis